Hallucinations, psychosis, hypertension, and tachycardia are adverse effects typically associated with which of the following narcotics:
1. Morphine
2. Meperidine
3. Pentazocine
4. Buprenorphine

Correct answer: 3. Pentazocine